Which one of the following is a secondary pollutant?
1. Benzene
2. Nitrogen oxide
3. Ozone
4. Sulphur dioxide

Correct answer: 3. Ozone

Explanation: Secondary air pollutants are formed within the atmosphere itself, they arise from chemical reactions of primary pollutants, most familiar example is ozone. Park's Textbook of Preventive and Social Medicine, 25th Edition, Pg 793